Catalase test is used to differentiate ?
1. Staphylococcus aureus from staphylococcus epidermidis
2. Staphylococci from streptococci
3. Streptococcus pyogenes from other streptococci
4. None of the above

Correct answer: 2. Staphylococci from streptococci

Explanation: Ans. is 'b' i.e., Staphylococci from streptococci The catalase test is used to differentiate staphylococci (catalase-positive) from streptococci (catalase-negative). The enzyme, catalase, is produced by bacteria that respire using oxygen, and protects them from the toxic by-products of oxygen metabolism